Pancreas is derived from:
1. Foregut
2. Midgut
3. Hindgut
4. Notochord

Correct answer: 1. Foregut

Explanation: Ans. A ForegutRef: Netter's Clinical Anatomy, 3rd ed. pg. 207Derivatives of Foregut* Part of mouth including the tongue to 2nd part of duodenum (up to major duodenal papilla)* Liver, pancreas, biliary channels* Respiratory systemDerivative of Midgut* From 2nd part of duodenum to right 2/3rd of transverse colonDerivatives of Hindgut* From left 1/3rd of transverse colon to upper part of anal canal* Part of urogenital system derived from the primitive urogenital sinus